Botulinum toxin is used in -
1. Focal dystonia
2. Myasthenia gravis
3. Cerebellare ataxia
4. Hypotonia

Correct answer: 1. Focal dystonia